Feature of osteoarthritis is -
1. Heberden node
2. Increased ESR
3. Onycholysis
4. Z deformity

Correct answer: 1. Heberden node

Explanation: Ans. is 'a' i.e., Heberden node Joint involvement in OA Common joints : Knee, Hip, Spine (cervical, lumbosacral), Hand (PIP, DIP, first carpometacarpal), first tarsometatarsal. Uncommon joint : Shoulder Spared : Wrist, elbow, ankle, metacarpophalangeal. In osteoarthritis of hand : Distal interphalangeal joint :- Heberden's node. Proximal interphalangeal joint :- Bouchard's node